Serum sickness is:
1. Type 1 hypersensitivity reaction
2. Type 2 hypersensitivity reaction
3. Type 3 hypersensitivity reaction
4. Type 4 hypersensitivity reaction

Correct answer: 3. Type 3 hypersensitivity reaction

Explanation: Ans: C. Type 3 hypersensitivity reaction(Ref: Robbins 9/e p207)Serum sickness is the prototype of a systemic immune complex disease or type III hypersensitivity reaction.Immune Complex--Mediated (Type III) Hypersensitivity:Acute serum sickness is the prototype of a systemic immune complex disease; it was once a frequent sequela to the administration of large amounts of foreign serum (e.g., serum from immunized horses used for protection against diphtheria).